Vit. A deficiency is characterized by -
1. Bitot's spot
2. Xerophthalmia
3. Night blindness
4. All

Correct answer: 4. All

Explanation: Ans. is 'a' i.e., Bitot's spot; 'b' i.e., Xerophthalmia; 'c' i.e., Night blindness o The most characteristic and specific signs of vitamin A deficiency are eye lesions. o These develop before the age of 2 years. o The term xerophthalmia comprises all the occular manifestations of vitamin A deficiency. Xerophthalmia (MI eye) It Is a syndrome due to deficiency of vitamin A. o It has following stages 1. Night blindness --> Earliest ocular .symptom 2. Conjuctival xerosis Earliest ocular sign 3. Bitot's spot 4. Corneal xerosis 5. Keratomalacia & cornea! ulcers